Pain of External hemorrhoids is carried by?
1. Pudendal nerve
2. Perineal nerve
3. Superior rectal nerve
4. Dorsal nerve of penis or clitoris

Correct answer: 1. Pudendal nerve

Explanation: ANSWER; (A) Pudendal nerveREF: Gray's anatomy 39th ed p- 1371External hemorrhoids are innervated by cutaneous nerves that supply the perianal area, such as the pudendal nerve and branches of the sacral plexusInternal hemorrhoids are not innervated and cannot cause pain.